Major neurotransmitter released at end organ effectors of the sympathetic division of the autonomic nervous system is
1. Adrenaline
2. Noradrenaline
3. Dopamine
4. Acetylcholine

Correct answer: 2. Noradrenaline

Explanation: Neurotransmitter secreted it in organ effectors of sympathetic system is mostly nor-adrenaline (except in sweat glands and haur follicle, where it Is acettacetylch) where as it is acetylcholine at parasympathetic system Ref-KDT 6/e p116